All of following are advantages of minimal access surgery, EXCEPT:
1. Better hemostasis control
2. Improved vision
3. Improved mobility
4. Reduction in wound dehiscence, bleeding, herniation and nerve entrapment

Correct answer: 1. Better hemostasis control

Explanation: Minimal access surgery: In case of intraoperative arterial bleeding, hemostasis may be very difficult to achieve endoscopically because blood obscure the field of vision and there is significant reduction of the image quality owing to light absorption". Advantage of MAS: Decrease in wound size Reduction in wound dehiscence, bleeding, herniation and nerve entrapment Decrease in wound pain Improved mobility Decreased wound trauma Decreased heat loss Improved vision MAS includes: Laproscopy, thyroscopy, endoluminal endoscopy, perivisceral endoscopy, Arthroscopy and intra-articular joint surgery. Ref: L & B 25/e, Page 247-48